A 50yrs old diabetic patient presented to ENT OPD with Intense pain, sudden loss of Vision. On examination patient has palatal perforation along with Blackish debris within Nasal cavity. What could be the most probable causative agentt for this condition?
1. Aspergillus
2. Mucor
3. Candida
4. Cryptococcus

Correct answer: 2. Mucor

Explanation: Diabetic patient with vision loss and blackish necrotic debris : Typical of Rhinocereberalmucormycosis. Mucor is most common fungal organism to invade orbit & result in Orbital cellulitis along with Fulminant fungal sinusitis O Mucor causes rhinocerebral disease. O Due to invasion of blood vessels, mucor fungus causes ischaemic necrosis presenting as a black eschar, involving inferior turbinate, palate or the sinus. O Spreads to the face, eye, skull base and the brain. O Treatment is surgical debridement of necrotic tissue and i.v. amphotericin B.